Posterior staphyloma is seen in:
1. Myopia
2. Hypermetropia
3. Astigmatism
4. Presbyopia

Correct answer: 1. Myopia

Explanation: Ans. A: Myopia Staphyloma is the term given to an eye whose sclero-uveal coats are stretched (also known as ectasia). This most commonly occurs posteriorly, athough anterior staphyloma also is recognised. Posterior staphyloma Progressive myopia (or mega myope) most common cause. Glaucoma Scleritis Necrotizing infection Surgery/trauma Radiotherapy Posterior staphyloma affects the posterior pole of the eye and is lined by the choroid. The ectatic portion is not visible externally but can be detected by fundoscopy and B-scan USG. Anterior staphyloma The most common cause for anterior staphyloma is sloughing corneal ulcer winch perforates and heals with the formation of a pseudocornea by the organization of exudates and laying down of fibrous tissue. Differential diagnoses Buphthalmos (congenital glaucoma) Axial myopia Macrophthalmos: seen in neurofibromatosis typel (NF1) Coloboma